Giant's rollover test for PIH is done at-(Orrisa R)
1. 22-24 weeks
2. 28-32 weeks
3. 24-26 weeks
4. 32-34 weeks

Correct answer: 2. 28-32 weeks

Explanation: Ans-BNote-THE ROLL-OVER TEST Between the 28th and 32nd week of pregnancy, the woman lies quietly on her left side for about 5 minutes. A blood pressure cuff is applied to the right arm and the blood pressure is taken. After releasing the valve and expelling all air from the blood pressure cuff bladder, the cuff is left loosely in place on the arm. The woman then rolls over on her back and the blood pressure is taken again immediately. If the bottom number (diastolic pressure) is elevated 20 points between the first and the second readings, this is said to demonstrate a contracted blood volume and indicate a risk of developing metabolic toxemia. The test is positive in many normal pregnancies and even in the nonpregnant person. Again, this test has been discredited and should not be used.